All of the following are true about osmotic diuretics except:
1. It expands extracellular fluid compartment and increases renal blood flow
2. Osmotic diuretics are used in cerebral edema
3. Osmotic diuretics are used in active cerebral bleeding
4. Mannitol is used in Acute congestive glaucoma

Correct answer: 3. Osmotic diuretics are used in active cerebral bleeding

Explanation: Osmotic diuretics can be used to decreased intracranial tension but not in active cerebral bleeding as the drug may leak out of the vessel and further increase intracranial pressure as it is osmotically active.